False about mucous-membrane pemphigoid
1. Twice in female
2. Autoantibodies towards basement membrane protein
3. Disease associated antigen are most frequently present in Lamina densa
4. Oral mucosa is most frequently involved

Correct answer: 3. Disease associated antigen are most frequently present in Lamina densa

Explanation: Mucous membrane pemphigoid is a chronic autoimmune subepithelial disease in which the autoantibodies are directed against proteins in basement membrane zone, more frequently against antigens in lamina tucida portion of basement membrane zone.